Active method to detect undiagnosed cases in apparently healthy people is -
1. Case finding
2. Surveillance
3. Screening
4. Monitoring

Correct answer: 3. Screening

Explanation: Ans. is 'c' i.e. Screening Screening is defined as the search for unrecognized disease or defect in apparently healthy individuals by means of rapidly applied tests, examinations or other procedures.Explanation of various termsScreening - screening is testing for infection or disease in population or in individuals who are not seeking health care; for eg., serological testing for AIDS virus in blood donors, neonatal screening, premarital screening for syphilis.Case finding - this is use of clinical and/or laboratory tests to detect disease in individuals seeking health care for other reasons; for eg., the use of VDRL testing for syphilis in pregnant women.Diagnostic tests - this is the use of clinical and/or lab procedures to confirm or refute the existence of disease or true abnormality in patients with signs and symptoms presumed to be caused by the disease; for example - VDRL testing in patients with lesion suggestive of syphilis.Monitoring & SurveillanceMonitoring - is the performance and analysis of routine measurements aimed at detecting changes in the environment or health status of population eg. monitoring of air pollution, water quality, growth & nutritional status.Surveillance - mean continuous scrutiny of the factors that determine the occurrence and distribution of disease and other conditions of ill-health.Thus monitoring is one specific and essential part of the broader concept of surveillance. Monitoring requires careful planning and the use of standardized procedures and methods of data collection, and can then be carried out over extended periods of time by technicians and automated instruments. Surveillance in contrast, requires professional analysis and sophisticated judgement of data leading to recommendations for control activities.